'Crumbled egg appearance' in liver is seen in
1. Hepatic adenoma
2. Chronic amoebic liver disease
3. Hydatid liver disease
4. Hemangioma

Correct answer: 3. Hydatid liver disease

Explanation: Crumbled egg appearance in liver is seen in hyadatid disease